Human races may be Dolichocephalic , when index is
1. 75 or less
2. 75-80
3. Above 80
4. None of the above

Correct answer: 1. 75 or less

Explanation: Dolichocephalic or long headed when the index is 75 or less.